A patient diagnosed with sepsis from a UTI is being discharged. What do you plan to include in her discharge teaching?
1. Take cool baths
2. Avoid tampon use
3. Avoid sexual activity
4. Drink 8 to 10 eight-oz glasses of water daily

Correct answer: 4. Drink 8 to 10 eight-oz glasses of water daily

Explanation: Drinking 2-3L of water daily inhibits bacterial growth in the bladder and helps flush the bacteria from the bladder. 
The patient should be instructed to void after sexual activity.